Epidemiological studies of H. Pylori are done by using -
1. Urea-breath test
2. Serological markers
3. Culture
4. Gastric-biopsy urease test

Correct answer: 2. Serological markers